Radiological findings of  Congestive Cardiac failure except:
1. Prominent Lower lobe vessels
2. Kerley B Lines
3. Cardiomegaly
4. Perihilar haze

Correct answer: 1. Prominent Lower lobe vessels

Explanation: Prominent upper lobe vessels - due to diversion of blood to upper lobe veins.